Fate of Inner cell mass in embryo development...
1. Placenta
2. amniotic membrane
3. Fetus
4. Expelled out of developing embryo by 7 weeks

Correct answer: 3. Fetus

Explanation: Cells of blastocyst differentiate into an outer trophoectoderm and inner cell mass. Just before implantation trophoectoderm further divided into: Cytotrophoblast & Syncytiotrophoblast Placenta and fetal membrances are derived from trophoectoderm. Inner cell mass helps in the development of embryo proper.